False statement regarding Schilling test is:
1. Unlabelled B12 is given IM
2. Labelled B12 given orally
3. Vit B12 excreted in urine
4. Abnormal test rules out primary intestinal malabsorption

Correct answer: 4. Abnormal test rules out primary intestinal malabsorption

Explanation: Schilling test - its test useful in diagnosis of etiology of vitamin B12 deficiency This test is divided into 2 main stages Stages Steps Result Stage 1 Oral radiolabeled vitamin B12 is given followed by unlabeled IM VITAMIN B12 A 24-hour urine collection monitors the absorption and the excretion Normal finding:-Excreting- 8 to 40% of radioactive vitamin B12 Abnormal:-any defect in absorption at terminal ileum Do Stage 2 Stage 2 Stage 1 is repeated along with an oral dose of intrinic factor 24 hour urine collection monitors the absorption and the excretion Normal urine excretion means Pernicious anemia If abnormal:- Further testing for cause cause:- crohn's disease Small bowel bacterial overgrowth syndrome Diphyllobothrium latum infection